Very low birth weight child weights
1. 1000 gm
2. <1500 gm
3. <2500 gm
4. <750 gm

Correct answer: 2. <1500 gm

Explanation: Ans. (b) <1500 gm